A male 65 years old wants a denture made. He is on oral hypoglycaemics. Intraoral examination reveals edentulous arches with firm ridges and good alveolar height. Impression is made with Alginate. In which of the following materials used, time is inadequate for disinfection?
1. Short term glutaraldehydes
2. Chlorine compounds
3. Iodophors
4. All of the above

Correct answer: 1. Short term glutaraldehydes

Explanation: Key concept: Short-term glutaraldehyde has been shown to be acceptable, but time is inadequate for disinfection.
Reference: Phillips’ science of dental materials / Kenneth J. Anusavice, Chiayi Shen, H. Ralph Rawls.—12th ed.Page no 166